Insensible loss of water per day is
1. 400 ml
2. 500ml
3. 700ml
4. 1000ml

Correct answer: 3. 700ml